Weight allowed in skeletal traction upto -
1. 5 kg
2. 10 kg
3. 20 kg
4. 30 kg

Correct answer: 3. 20 kg

Explanation: Weight permitted for skin traction is upto 3- 4 kg ,whereas weight permitted for skeletal traction is upto 20 kg. REF:Essential ohopaedics-Maheshwari - 5th edn- pg no 27